In sickle cell anemia all are true except:
1. Sickle cells
2. Target cells
3. Howell jolly bodies
4. Ringed sideroblast

Correct answer: 4. Ringed sideroblast

Explanation: Ans. (d) Ringed sideroblast(Ref: Robbins 9th/pg 635-636)Ring sideroblasts are not seen in sickle cell anemia, but in Sideroblastic AnemiaPeripheral smear finding in sickle cell anemia:Ansiopoikilocytosis, polychromasia, Increased Retie %Irreversibly sickle RBCs and target cells (increased after autosplenectomy).Howell-Jolly bodies due to asplenia. Q